All are true about severe malnutrition EXCEPT:
1. < 3SD from mean weight for height
2. <2 SD from mean weight for height
3. Oedema with malnutrition weight for height
4. < 70% weight for height

Correct answer: 2. <2 SD from mean weight for height

Explanation: Am: b (<2SD from mean weight for height)Ref: IAP guidelines on hospital based management of severely malnourished childrenSevere malnutrition is defined as the presence of severe wasting (< 70% weight for height or <3SD and/ or oedema. Criteria associated with increased risk of mortality* Weight for height <70% NCHS median or <_ 3SD* Visible severe wasting* Bipedal oedema* MUAC < 11 cm